Adverse effects of losartan are all EXCEPT:
1. Angioedema
2. Cough
3. Hyperkalemia
4. Headache

Correct answer: 2. Cough

Explanation: Cough REF: KDT 7th ed p. 488 Side effects of Losartan It may cause hypotension or hyperkalemia but first dose hypotension is uncommon Considered free of cough and dyspepsia Potential angioedema has been reported in few cases Headache , dizziness , upper GI side effects have been seen and are occasional and mild Losartan is fetopathic like ACE-Inhibitors